Wredin's test is to demonstrate:
1. Live birth
2. Insanity
3. Putrefaction
4. Assault

Correct answer: 1. Live birth

Explanation: TESTS FOR LIVE BORN VS DEAD BORN :- Hydrostatic test :- Specific gravity of lungs decreases after respiration and respired lungs will float in water. Fodere's test :- Weight of Lungs increases due to increase in blood flow after respiration. Plocquet's test:- Ratio of the lung wt. to body wt. almost doubled after respiration. Wredin's test :- presence of air in middle ear after respiration. Breslau's second life test/stomach bowl test :- presence of swallowed air in the stomach /intestine after respiration.